The antibiotic causing pseudomembranous colitis is :
1. Clindamycin
2. Garamycin
3. Erythromycin
4. Vancomycin

Correct answer: 1. Clindamycin